Investigation to diagnosis of laryngopharyngeal reflux
1. Esophageal pH monitoring
2. Dual probe impedance pH monitoring
3. Barium esophagram
4. Scintigraphy

Correct answer: 2. Dual probe impedance pH monitoring

Explanation: pH monitoring at the level of pharynx is not helpful because the acid refluxed is neutralised by the pharyngeal secretions Hence a dual (bifurcated) catheter measuring both pH and impedance is used across upper oesophageal sphincter thereby permitting detection of pharyngeal reflux Ref: Shackelford 8th edition Pgno: 222